The term "Dementia precox" was coined by ?
1. Freud
2. Bleuler
3. Kraepelin
4. Schneider

Correct answer: 3. Kraepelin

Explanation: Ans. C. Kraepelin